Dilution segment in nephrom is:
1. Ascending LOH
2. Descending LOH
3. Collecting tubule
4. Proximal tubule

Correct answer: 1. Ascending LOH

Explanation: The thick LOH is virtually impermeable to H20, but large amounts of Na, Cl & other ions are actively transported from the tubule into the medullary interstitium. Thus, fluid in thick ascending loop becomes very dilute and k/a diluting segment of the nephron. Proximal tubules: = 65% of the filtered electrolytes is reabsorbed here, along with water ( osmosis & aquaporin - 1). Descending LOH: Water absorbed AQP - 1 much less permeable to Na & urea; there by increasing the osmolarity.